Cells most sensitive to hypoxia are
1. Myocardial cells
2. Neurons
3. Hepatocytes
4. Renal tubular epithelial cells

Correct answer: 2. Neurons

Explanation: Ref , Robbins 8/e p11-2